Sequence of colour changes observed in Raynaud’s disease
1. Red, blue, white
2. White, blue, red
3. Blue, red, white
4. White, red, blue

Correct answer: 2. White, blue, red